A 25-year-old male is admitted to the hospital with testicular pain. Physical examination reveals a swollen and inflamed right testis. CT scan examination reveals abnormal accumulation of fluid in the cavity of the tunica vaginalis. Which of the following conditions will most accurately describe the signs observed in the patient?
1. Varicocele
2. Rectocele
3. Cystocele
4. Hydrocele

Correct answer: 4. Hydrocele

Explanation: (d) Source: GAS 504; GA 139, 224-225Hydrocele results from an excess amount of fluid within a persistent processus vaginalis. Hydrocele can result from injury to the testis or by retention of a processus that fills with fluid in infants. The tunica vaginalis consists of parietal and visceral layers, the latter of which is closely attached to the testis and epididymis. The fluid buildup occurs within the cavity between these layers. A varicocele consists of varicosed veins of the pampiniform plexus and is associated with increased venous pressure in the testicular vein, followed by the accumulation and coagulation of venous blood.